____________ is an example for rapidly acting
neurotransmitter
1. Somatostatin
2. Calcitonin
3. Substance P
4. Glycine

Correct answer: 4. Glycine